Phocomelia is a problem affecting:
1. Long bones
2. Skull bones
3. Carpals
4. Metacarpals

Correct answer: 1. Long bones

Explanation: a. Long bones(Ref: Nelson's 20/e p 3423)Phocomelia is a birth defect in which the hands and feet are attached to abbreviated arms & legs. The term comes from phoco (meaning 'seal') & melia (meaning limb'), to indicate that a limb is like a seal's flipper; One of the important cause is exposure of fetus to thalidomide.